True about hCG is :
1. Alfa subunit identical to LH, FSH and TSH
2. Causes involution of corpus luteum
3. Doubles in 7-10 days
4. Maximum level seen at 50 days of gestation

Correct answer: 1. Alfa subunit identical to LH, FSH and TSH

Explanation: hCG is a glycoprotein with high sialic acid content. It bears a close structural similarity to the other glycoprotein hormones (FSH, LH, and TSH) all of whose alpha subunits are identical. It rescues and maintains corpus luteumtill 6 weeks of pregnancy. doubling time is 1.4-2days. maximum levels reach between 60-70 days of pregnancy. Reference: Dutta Textbook of Obstetrics 7th edition page 58